All of the following are immediate priorities in WHOs Vision 2020 'the right to sight' except ?
1. Oncocerciasis
2. Epidemic conjunctivitis
3. Trachoma
4. Cataract

Correct answer: 2. Epidemic conjunctivitis

Explanation: Ans. is 'b' i.e., Epidemic conjunctivitis